Which continues to grow in the lifetime:
1. Cornea
2. Iris
3. Lens
4. Retina

Correct answer: 3. Lens

Explanation: Ans. Lens